Kidney is supported by all of the following except:
1. Perirenal fat
2. Renal fascia
3. Pararenal fat
4. Fibrous capsule

Correct answer: 4. Fibrous capsule

Explanation: The kidneys have the following coverings:Fibrous capsule: This surrounds the kidney and is closely applied to its outer surface.Perirenal fat: This covers the fibrous capsule.Renal fascia: This is a condensation of connective tissue that lies outside the perirenal fat and encloses the kidneys and suprarenal glands; it is continuous laterally with the fascia transversalis.Pararenal fat: This lies external to the renal fascia and is often in large quantity.It forms part of the retroperitoneal fat.The perirenal fat, renal fascia, and pararenal fat support the kidneys and hold them in position on the posterior abdominal wall.